The most important diagnostic test to differentiate between an Acute periapical Abscess and a Phoenix Abscess is
1. Pulp testing
2. Radiographs
3. History
4. Percussion

Correct answer: 2. Radiographs